Eutectic mixture of local anaesthetic (EMLA) cream is -
1. Bupivacaine 2.0% + Prilocaine 2.5%
2. Lidocaine 2.5% + Prilocaine 2.5%
3. Lidocaine 2.5% + Prilocaine 5%
4. Bupivacaine 0.5% + Lidocaine 2.5%

Correct answer: 2. Lidocaine 2.5% + Prilocaine 2.5%

Explanation: Ans. is 'b' i.e., Lidocaine 2.5% + Prilocaine 2.5% o Eutectic mixture of local anesthetics (EMLA) is unique topical preparation which can anaesthetize intact skin. It is a mixture of 2.5% lidocaine and 2.5% prilocaine.